Dysmorphic RBCs are seen in which of the following conditions?
1. IgA glomerulopathy
2. Membranous glomerulopathy
3. Nil lesion glomerulopathy
4. None of the above

Correct answer: 1. IgA glomerulopathy